Delayed onset polyneuropathy after organophosphorous poisoning is seen after a period of:
1. 1-2 weeks
2. 2-4 weeks
3. 4-6 weeks
4. 6-8 weeks

Correct answer: 2. 2-4 weeks

Explanation: Organophosphate-induced delayed polyneuropathy (OPIDP) occurs 2-3 weeks after exposure to large doses of certain organophosphates (OPs) and is due to inhibition of neuropathy target esterase. Distal muscle weakness with relative sparing of the neck muscles, cranial nerves, and proximal muscle groups characterizes OPIDP. Recovery can take up to 12 months.